Thiamine deficiency is seen in all except -
1. Chronic diarrhoea
2. Chronic alcoholism
3. Homocystinemia
4. Food faddist

Correct answer: 3. Homocystinemia

Explanation: Loss of vitamin B can occur due to alcoholism and due to diarrhea. It's loss is not associated with homocystinemiaREF. PARK'S TEXTBOOK OF PREVENTIVE AND SOCIAL MEDICAL 21ST EDITION. PAGE NO - 618